The physiological important anion other than chloride is:
1. Nitrate
2. Phosphate
3. Bicarbonate
4. Sulphate

Correct answer: 3. Bicarbonate

Explanation: Ionic distribution(mEq/L) of ions in plasma is: Cl- :111 HCO3- : 26.2 PO43- :1 Proteins:17.2 Ref: textbook of physiology(page no:30) Volume 1 AK Jain 7th edition